Pontiac fever is caused by
1. Legionella micdadei
2. Legionella pneumophilia
3. Legionella adelaidensis
4. Legionella anisa

Correct answer: 2. Legionella pneumophilia

Explanation: Pontaic fever is a mild ,non fatal ,influenza like illness with fever chills,myalgia and headache.caused by legioneola pneumophila belongs to family legionellaceae. Ref:anantnarayan and panikers 10 the edition